Regarding Campylobacter jejuni not true is -
1. Most common cause of Campylobacteriosis
2. Poultry is the cause of the disease
3. Human is the only reservoir
4. Causes Guillain barre syndrome

Correct answer: 3. Human is the only reservoir